WHO definition of blindness, Visual acuity -
1. <6/60
2. < 3/60
3. <6/18
4. < 6/9

Correct answer: 2. < 3/60

Explanation: Ans. is 'b' i.e., < 3/60 o WHO defines blindness as "Visual acuity of < 3/60 in better eye with best possible correction".Categories of visual impairmentCategories of visual impairmentVisual acuityMaximum less thanMinimum equal to or better thanLow vision1. 6/182. 6/606/603/60Blindness3. 3/60 (finger counting at 3 metres)4. 1/60 (finger counting at 1 metre)5. No light perception1/60 (finger counting at 1 metres) light perception